Meckel's cartilage extends from:
1. Otic capsule
2. Styloid bone
3. Hyoid cartilage
4. None of the above

Correct answer: 1. Otic capsule